Children of parents with which of the following
blood group combinations have the highest risk of
erythroblastosis fetalis:
1. Rh+ father and Rh+ mother
2. Rh+ father and Rh- mother
3. Rh- father and Rh+ mother
4. Rh- father and Rh- mother

Correct answer: 2. Rh+ father and Rh- mother